Skin scrapping & KOH mounting is done for -
1. Leprosy
2. Varicella
3. Fungus
4. HSV

Correct answer: 3. Fungus

Explanation: Skin scraping and koh mount is used to demonstrate superficial fungal infections caused by dermatophytes and yeasts. after the material obtained from scrapings it is placed on a glass slide containing 10-30% koh and covered by cover slip. fungal elements resist digestion by koh as they contain chitin. dermatophytes appear as translucent nonpigmented spectate mycelia or ahrospores candida appear as budding yeast cells with pseudohyphae pityriasis versicolor appear as sphagetti and meat ball appearance. iadvl textbook of dermatology page 272